Which of the following levels of fluorides in drinking  water is associated with enamel fluorosis?
1. 0.2 ppm
2. 0.7 ppm
3. 2.5 ppm
4. 1.2 ppm

Correct answer: 3. 2.5 ppm